Duchenne muscular dystrophy is inherited as
1. X linked
2. Autosomal dominant
3. Autosomal recessive
4. Codominant

Correct answer: 1. X linked

Explanation: X-linked Recessive Inheritance Hemophilia A Duchenne/Becker muscular dystrophy Fragile X syndrome (Robbins Basic Pathology,9th edition,pg no. 219)